Which of the following passes between base of the skull & superior constricter muscle?
1. Eustachion tube, levator palatine muscle, ascending palatine artery
2. Maxillery nerve & levator palatine muscle
3. Eustachion tube & stylopharyngeous muscle
4. Ascending palatine artery & Glassopharyngeal nerve

Correct answer: 1. Eustachion tube, levator palatine muscle, ascending palatine artery

Explanation: The large gap between the upper concave border of the superior constrictor and the base of the skull is semilunar and is known as the sinus of Morgagni. It is closed by the upper strong part of the pharyngobasilar fascia. The structures passing through this gap are: (a) The auditory tube; (b) the levator veli palatini muscle; and (c) the ascending palatine artery. Ref: BD Chaurasia's HUMAN ANATOMY, Volume 3, 6th edition